Craniotabes is found in children with the following conditions, EXCEPT:
1. Rickets
2. Hydrocephalus
3. Syphilis
4. Kernicterus

Correct answer: 4. Kernicterus

Explanation: Conditions associated with kernicterus are rickets, hydrocephalus, syphilis, cleidocranial disastosis, cretinism, wormian bones and vitamin A excess. Craniotabes is a normal finding upto 6 months. Craniotabes refers to softening and thinning of bones of the skull. Assessment of craniotabes is done by palpating the scalp firmly along the suture line in the temporoparietal area. This causes cranial bones to feel pliable and soft and on firm palpation an indentation is created. Ref: Clincal Methods in Paediatrics by ML Kulkarni page 527. Advanced Pediatric Assessment By Ellen M. Chiocca page 270.